One who speaks just opposite to what he stated earlier is called
1. Expert witness
2. Common witness
3. Hostile witness
4. Perjury

Correct answer: 3. Hostile witness

Explanation: Hostile witness is one who speaks just opposite to what he stated earlier. Leading questions are not allowed in chief examination except in those cases where the judge is satisfied that the witness is hostile. In such a situation, the court may declare him hostile when pleaded by prosecution. Ref: FORENSIC MEDICINE AND TOXICOLOGY Dr PC IGNATIUS THIRD EDITION PAGE 13